The Children Act, 1960 (Amended 1977) provides for care, maintenance, welfare, training, education and rehabilitation of-
1. Physically handicapped children
2. Delinquent children
3. Children below 6 years of age
4. Malnourished children needing nutrition and preschool services

Correct answer: 2. Delinquent children

Explanation: Ans. is 'b' i.e., Delinquent children The children act (1960) o The children act, 1960 in India (amended in 1977) provieds for the care, maintenance, welfare, training, education and rehabilitation of the delinquent child. o It covers the neglected and destitute, socially handicapped, uncontrollable, victimized and delinquent children. Juvenile Justice Act 2000 o Juvenile justice (care and protection of children Act, 2000 (now Amendment Act 2006) covers :- t) Juveniles in conflict --> child who is alleged to have committed an offence. ii) Children in need of care and protection children who are neglected, abused, or abandoned. o This act defines a juvenile / child as a person who has not completed the age of 18 years.